CA - 125 is specific marker of:
1. Choriocarcinoma
2. Teratoma
3. Epithelial cell carcinoma of ovary
4. Seminoma

Correct answer: 3. Epithelial cell carcinoma of ovary